Motor supply of the diaphragm is -
1. Thoracodorsal nerve
2. Intercostal nerves
3. Phrenic nerve
4. Sympathetic nerves

Correct answer: 3. Phrenic nerve

Explanation: Nerve supply of diaphragm
-        Sensory- 
o   Peripheral part- lower 6 intercostal nerves
o   Central part- phrenic nerve
-        Motor- Phrenic nerve